A deficiency of 5-8 mm usually requires extraction of:
1. First molars
2. Second premolars
3. First premolars
4. Second molars

Correct answer: 3. First premolars